APGAR score is a measure of all except -
1. Respiratory status
2. Neurological status
3. Nephrological status
4. Circulatory status

Correct answer: 3. Nephrological status

Explanation: Ans. is 'c' i.e., Nephrological status APGAR Scoringo APGAR Score is a quantitative method for assessing infants respiratory, circulatory and neurological status : APGAR Score 012o Respiratory effortNoneSlow irregular Good, cryingo Heart rate (pulse)Absent<100>100o Color of the body (Appearance)Blue or paleBody pink extremities bluePinko Muscle tone (Activity)FlaccidSome flexion Actively moving extremityo Reflex stimulation (Grimace) or putting catheter in noseNo responseGrimaceCries, coughs or sneezes